The proteins present in Deoxyribonucleic acid is
1. Protamines
2. Histone
3. Albumins
4. Globulins

Correct answer: 2. Histone

Explanation: Histones are proteins containing unusually higher concentration of basic amino acid. Albumins and globulins are plasma proteins Protamines are small, arginine-rich, nuclear proteins that replace histonesRef: DM Vasudevan, 7th edition, page no: 576, 578